In the WHO Oral Health Assessment form (1997) the following index criteria are used to record the dentofacial anomalies
1. Dental Aesthetic index
2. Treatment priority index
3. Handicapping malocclusion assessment record
4. Index of Orthodontic treatment needs

Correct answer: 1. Dental Aesthetic index